Origin of ovary is from
1. Wolffian duct
2. Genital duct
3. Genital ridge
4. Genital tubercle

Correct answer: 3. Genital ridge

Explanation: C. i.e. Genital ridge